All of the following are diagnostic barium follow through features of ileocecal tuberculosis EXCEPT
1. Apple - core appearance
2. Pulled up contracted cecum
3. Widening of ileocecal angle
4. Strictures involving terminal ileum

Correct answer: 1. Apple - core appearance

Explanation: A i.e. Apple core sign Apple core sign is seen in carcinoma of colonQ whereas ileocecal tuberculosis presents with stricture of terminal ileum, widening of ileocecal angle and pulled up contracted cecumQ on barium study.